Which of the following is an example of Trinucleotide repeat mutation -
1. Huntington's chorea
2. Fragile-X-syndrome
3. Friedreich ataxia
4. All of the above

Correct answer: 4. All of the above

Explanation: Ans. is 'd' i.e., All of the above Trinucleotide repeat mutationo In this type of mutation a codon (i.e. trinucleotide sequence) undergoes amplification and the same codon is repeated continuously so many times in the chain.o Diseases associated w ith trinucleotide repeat mutation are Huntington-s disease (CAG repeat). Spinocerebellar ataxia (CAG repeat), friedreich ataxia (GAA repeat), fragile-X-syndrome (GGG or GCC repeat), dystrophia myotonica (CTG/CUG repeat), X-linked spinobulbar muscular atrophy (CAG repeat) and dentorubral paltidolusian atrophy (CAG repeat).